Sweating does not occur in:
1. Heat exhaustion
2. Heat fatigue
3. Heat rash
4. Heat Stroke

Correct answer: 4. Heat Stroke

Explanation: Ans. D: Heat Stroke Types of heat illnesses: Heat stroke - Defined by a body temperature of greater than >40.6 degC (105.1 degF) due to environmental heat exposure with lack of thermoregulation. Symptoms include dry skin, rapid, strong pulse and dizziness. Heat exhaustion - Can be a precursor of heatstroke; the symptoms include heavy sweating, rapid breathing and a fast, weak pulse. Heat syncope Heat edema Heat cramps - Muscle pains or spasms that happen during heavy exercise in hot weather. Heat rash - Skin irritation from excessive sweating. Heat tetany - Usually results from short periods of stress in intense heat. Symptoms may include hyperventilation, respiratory problems, numbness or tingling, or muscle spasms